Time taken for any project is estimated by ?
1. Work sampling
2. Input/output analysis
3. Network analysis
4. System analysis

Correct answer: 3. Network analysis

Explanation: Ans. is 'c' i.e., Network analysis o PE is a type of network analysis which can estimate the time needed to complete the project. Programme Evaluation and Review technique (PER'] PER I is a management technique which makes possible more detailed planing and more comprehensive supervision. PE is method to analyze the involved tasks in completing a given project, especially the time needed to complete each task, and identifying the minimum time needed to complete the total project. The essence of PE is to construct an arrow diagram. which represents the logical sequence in which events must take place. o It is possible with such a diagram to calculate the time by which each activity must be completed, and to identify those activities that are critical.